Most sensitive indicator of recent transmission of malaria of
1. Infant parasite rate
2. ABER
3. Spleen rate
4. Annual parasite index

Correct answer: 1. Infant parasite rate